Renal biopsy demonstrates concentric, laminated thickening of arteriolar walls due to proliferation of smooth muscle cells. This process is BEST described by which of the following terms?
1. Atherosclerosis
2. Hyaline arteriolosclerosis
3. Hyperplastic arteriolosclerosis
4. Monckeberg's arteriosclerosis

Correct answer: 3. Hyperplastic arteriolosclerosis

Explanation: The "onion skinning" morphology of these arterioles is a feature of hyperplastic arteriolosclerosis. Affected vessels may also show necrotizing arteriolitis with acute vessel wall necrosis accompanied by fibrin deposition. This type of vessel change is a hallmark of severe (malignant) hypertension, and can damage arterioles throughout the body, notably in the kidneys, intestine, and gall bladder.Atherosclerosis would produce luminal narrowing by plaques.Hyaline arteriolosclerosis would produce partial replacement of arterial walls by homogeneous, pink material.Monckeberg's arteriosclerosis is characterized by medial calcification of smaller arteries. Ref: Chandrasoma P., Taylor C.R. (1998). Chapter 20. The Blood Vessels. In P. Chandrasoma, C.R. Taylor (Eds), Concise Pathology, 3e.